Which of the following factors helped in smallpox eradication ?
1. Short incubation period of disease
2. Slow evolution of rashes over body
3. Long-term carrier stages in patients
4. Life-long immunity after disease

Correct answer: 4. Life-long immunity after disease